True for PTSD are all except
1. Past h/o psychiatric illness
2. Women are more predisposed
3. Occur in intelectuals
4. Numbness

Correct answer: 3. Occur in intelectuals

Explanation: C i.e. Occur in intelectuals